Most of the ATP generated in nerve cells is utilized to energize the:
1. Na-Ca exchanger
2. H-ATPase in the cell membrane
3. Na-K ATPase
4. synthesis of proteins

Correct answer: 3. Na-K ATPase

Explanation: Ans. C. Na-K ATPaseA large fraction of ATP (nearly 70%) synthesized in neurons is used to energize the Na-K ATPase and maintain ion gradients across the nerve cell membrane.